Which of the following sugars is absorbed from the small intestine by facilitated diffusion?
1. Glucose
2. Galactose
3. Fructose
4. Sucrose

Correct answer: 3. Fructose

Explanation: Facilitated diffusion is the major transport route for fructose. The duodenum and jejunum are the principal sites of carbohydrate absorption in humans. Digestion of carbohydrates is accomplished by amylase and brush border enzymes and results in a mixture of glucose, fructose, and galactose. A common sodium- dependent secondary active transporter absorbs glucose and galactose. Sucrose and lactose are disaccharides that break down into glucose and fructose, and glucose and galactose, respectively.